Among the following nerve fibres the one with lower conduction velocity is:
1. A alpha
2. A beta
3. A gamma
4. C

Correct answer: 4. C

Explanation: Velocity of conduction in a nerve is affected by myelination, diameter, capacitance and resistance. Velocity is directly proportional to degree of myelination, diameter and capacitance and inversely proportional to resistance. C fibres are unmyelinated hence it will have the lower conduction velocity compared to myelinated A and B nerve fibres. Ref: Ganongs, review of medical physiology, 21st Edition, Page 60